What is the narrowest part of the respiratory tract in children?
1. Glottis
2. Subglottic area
3. Trachea
4. Carina

Correct answer: 2. Subglottic area

Explanation: The narrowest part of the adult airway is the vocal cords In children, the narrowest part is the cricoid cartilage located in the subglottic area of the larynx. Ref: Internet